Mac Intosh curved blade laryngoscope is a type of
1. Indirect laryngoscope
2. Direct laryngoscopc
3. Bronchoscope
4. Video laryngoscope

Correct answer: 2. Direct laryngoscopc

Explanation: The Macintosh laryngoscope has a curved blade which allows exposure of the larynx by positioning the tip in the vallecula, anterior to the epiglottis, lifting it out of view. This laryngoscope is designed to lessen the difficulty of exposing the larynx to pass an endotracheal tube